In PT test, the addition of Ca2+ & tissue thromboplastin activates which pathway?
1. Extrinsic
2. Intrinsic
3. Fibrinolytic
4. Common

Correct answer: 1. Extrinsic

Explanation: Ans. (a) ExtrinsicTo PT we add of Ca2+ & tissue thromboplastin which activates extrinsic pathway, while to test for aPTT we add kaolin, silica which activates intrinsic pathway.